The persistent suppression of bacterial growth that may occur after limited exposure to some antimicrobial drug is called :
1. Time dependent killing
2. Post antibiotic effect
3. Concentration dependent killing
4. Sequential blockade

Correct answer: 2. Post antibiotic effect

Explanation: Time dependent killing kinetics is shown by aminoglycosides. Here, the killing activity depends upon the length of time, plasma concentration is above MIC.
Concentration dependent killing is shown by β lactam drugs. Here, killing activity depends upon the ratio of plasma concentration to MIC.
Post-antibiotic effect is the suppression of bacterial growth after limited exposure to the antibiotic.